World health day is on
1. 14th April
2. 14th March
3. 7th March
4. 7th April

Correct answer: 4. 7th April